Commonest tumor of face in children is :
1. Rhabdomyosarcoma
2. Sq. cell carcinoma
3. Basal cell carcinoma
4. Mixed parotid tumor

Correct answer: 1. Rhabdomyosarcoma

Explanation: Rhabdomyosarcoma :

The most common soft tissue sarcoma in children is rhabdomyosarcoma.
The common site of involvement are : -

Head & Neck (25%) 2nd most common Extremities.
Genitourinary (22%) 2nd most common Retroperitoneum.
Rhabdomyosarcoma is the most common nonocular orbital tumor is young children.